Post mortem luminescence is associated with ingestion of which of the following?
1. Dhatura
2. Mercury
3. Armillaria
4. Oleander

Correct answer: 3. Armillaria

Explanation: Luminescence of dead body may occur due to contamination of bacteria like photobacterium, fischeri, luminescent fungi, armillaria mellea etc.